Most common type of scleritis among the following is
1. Non-necrotizing
2. Necrotizing
3. Posterior
4. Granulomatous

Correct answer: 1. Non-necrotizing

Explanation: Scleritis refers to a chronic inflammation of the sclera proper. It is a comparatively serious disease which may cause visual impairment and even loss of the eye if treated inadequately. It usually occurs in elderly patients (40-70 years) involving females more than the males. It can be classified as follows:I. Anterior scleritis (98%)1. Non-necrotizing scleritis (85%)(a) Diffuse(b) Nodular2. Necrotizing scleritis (13%)(a) with inflammation(b) without inflammation (scleromalacia perforans)II. Posterior scleritis (2%) REF:Comprehensive ophthalmology,AK Khurana,4th edition,pg no.129.